Mean arterial pressure is calculated as:
1. (SBP + 2DBP)/ 3
2. (DBP + 2SBP)/ 3
3. (SBP + 3DBP)/ 2
4. (DBP + 3SBP)/ 2

Correct answer: 1. (SBP + 2DBP)/ 3

Explanation: A i.e. (SBP + 2DBP) /3